Steroid super family receptors are associated with-
1. Gastrin
2. Vitamin D3
3. Encephalin
4. Insulin

Correct answer: 2. Vitamin D3